All of the following are the causes of exudative retinal detachment except:
1. Retinopathy of toxaemia of pregnancy
2. Retinopathy of prematurity
3. Exudative retinopathy of Coats
4. Sympathetic ophthalmia

Correct answer: 2. Retinopathy of prematurity

Explanation: Ans. Retinopathy of prematurity